Collar button sign is associated with
1. Ulcerative colitis
2. Hirshsprung disease
3. Plummer Vinson syndrome
4. Chiladiti syndrome

Correct answer: 1. Ulcerative colitis

Explanation: "Collar button ulcers" are manifestations of inflammatory processes within the bowel, seen with Ulcerative colitis.